Which of the following is the nodal ministry for Integrated Child Development Services (ICDS)?
1. Ministry for Human Resource Development
2. Ministry of Rural Development
3. Ministry for Health and Family Welfare
4. Ministry of Women and Child Development

Correct answer: 4. Ministry of Women and Child Development

Explanation: Ministries to combat malnutrition: Programme Ministry Vitamin A prophylaxis programme Ministry of Health and Family Welfare Prophylaxis against nutritional anemia Ministry of Health and Family Welfare Iodine deficiency disorders control programs Ministry of Health and Family Welfare Special nutrition programme Ministry of Social Welfare Balwadi nutrition programme Ministry of social welfare ICDS programme Ministry of Women and Child Development Midday meal programme Ministry of Human Resource Development